Strength of phenol used in disinfecting faeces is:
1. 5%
2. 6%
3. 8%
4. 10%

Correct answer: 4. 10%

Explanation: Agents used for disinfecting faeces: DISINFECTANT % USED Bleaching powder 5 Phenol 10 Cresol 5 Formalin 10 Ref: Park 21st edition, page 119.